Phocomelia is caused by ingestion of ------ during pregnancy:
1. Steroids
2. Tetracycline
3. Thalidomide
4. Barbiturates

Correct answer: 3. Thalidomide

Explanation: Ans: cRef: Harrison, 15th ed, p. 1038